Single unit smooth muscles are seen in
1. Iris
2. Ductus deferens
3. Ureter
4. Trachea

Correct answer: 3. Ureter